The most appropriate circuit for ventilating a spontaneously breathing infant during anaesthesia is:
1. Jackson Rees' modification of Ayre's T Piece
2. Mapleson A or Magill's circuit
3. Mapleson C or Waters' to and fro canister
4. Bains circuit

Correct answer: 1. Jackson Rees' modification of Ayre's T Piece

Explanation: The most appropriate circuit advocated for use in infants is the Ayre's T piece (Mapleson E). Ref: Lee's Synopsis of Anaesthesia, 12th Edition, Page 117; Short Textbook of Anaesthesia By Ajay Yadav, 2nd Edition, Page 27